Otto Veraguth sign is seen in
1. Mania
2. OCD
3. Anxiety
4. Depression

Correct answer: 4. Depression

Explanation: verguath fold is a prominent fold that is present in the medial side of nasal bridge, mainly seen in DEPRESSION Reference: Kaplon and sadock, 11 th edition, synopsis of psychiatry, 11 th edition, pg no. 348